Chickengunya fever is transmitted by which mosquito?
1. Anopheles
2. Culex
3. Aedes
4. Any of the above

Correct answer: 3. Aedes

Explanation: Ans. is 'c' i.e., Aedes Mosquito speciesDisease transmittedAnophelesMalaria, filariasis (not in India), arboviruses of febrile and encephalitic diseaseCulexBaneroftian filariasis, Japanese encephalitis, West-Nile fever, St. Louis encephalitis, western equine encephalitisAedesYellow fever (in Africa), Dengue, Dengue haemorrhagic fever, nChickengunya haemorrhagic fever, Rift valley fever, Sindbis, Baneroftian filariasis (not in India)MansoniaBrugian filariasis, Baneroftian filariasis, Chickengunya